Most common site for the osteoporotic vertebral fracture is ?
1. Dorsolumbar spine
2. Cervical spine
3. Lumbosacral spine
4. Dorsal spine

Correct answer: 1. Dorsolumbar spine

Explanation: Ans. is 'a' i.e., Dorsolumbar spine Osteoporosis is an asymptomatic disorder unless complications (predominantly fractures) occur. Most common symptom of osteoporosis is back pain secondary to vertebral compression fracture. Dorso-lumbar spine is the most frequent site. Other common sites of fracture are lower end radius (Colle's fracture) and fracture neck femur. Osteoporotic fracture (fragile fractures) are : (i) Fracture vertebrae (most common), (ii) Colle's fracture, (iii) Fracture neck femur. Serum calcium, phosphate and alkaline phosphatase are normal in osteoporosis.